The following statements about breast milk are true except -
1. The maximum milk output is seen at 12 months
2. The coefficient of uptake of iron in breast milk is 70%
3. Calcium absorption of human milk is betetr that of cow's milk
4. It provides about 65 k cals per 100ml

Correct answer: 1. The maximum milk output is seen at 12 months

Explanation: In 12month the milk in ml is about 525 . the max is at 5-6 monthREF. PARK'S TEXTBOOK OF PREVENTIVE AND SOCIAL MEDICAL 21ST EDITION. PAGE NO - 489